In carbamate poisoning all the following should be administered except :
1. Atropine
2. Artificial respiration
3. Gastric lavage
4. Oximes

Correct answer: 4. Oximes

Explanation: D i.e. Oximes